Dalrymple's sign is seen in-
1. Thyroid ophthalmopathy
2. Orbital cellulitis
3. Choroidal melanoma
4. Posterior vitreal detachment

Correct answer: 1. Thyroid ophthalmopathy

Explanation: *Important signs of thyroid ophthalmopathy:- 1)Bilateral exophthalmos 2)Dalrymple's sign 3)Von Graefe's sign 4)Stellwag's sign 5)Mobius's sign 6)Jellinek's sign 7)Joffroy's sign 8)Enroth's sign 9)Grifford's sign Ref: Yanuff & Duker 3rd/e p.786